Narrowest part of zipping canal is known as
1. Minor Diameter
2. Major Diameter
3. Isthmus
4. Elbow

Correct answer: 4. Elbow